Biological value is used for assessment of –
1. Fat quality
2. Protein quality
3. Carbohydrate quality
4. None of the above

Correct answer: 2. Protein quality

Explanation: Biological value (BV) 

It is the percentage of absorbed nitrogen retained by the organism.

BV = Retained nitrogen / Absorbed nitrogen x 100